Which of the milestone develops first -
1. Mirror play
2. Crawling
3. Creeping
4. Pincer grasp

Correct answer: 1. Mirror play

Explanation: Ans. is 'a' i.e., Mirror play o A child enjoys watching his own image in the mirror (mirror play) by 6 months. o A child crawls in the bed by 8 months. o Full creeping and crawling develop by 10 months. o Pincer grasps develops by 9 months.